Following are true about small bowel lymphoma except:
1. Treatment is resection of involved segment with chemoradiotherapy
2. AIDS and celiac disease are predisposing
3. It is a very uncommon tumor amongst small bowel malignancies
4. It may present with hemorrhage and perforation

Correct answer: 3. It is a very uncommon tumor amongst small bowel malignancies

Explanation: Ans. (c) It is a very uncommon tumor amongst small bowel malignanciesRef: Sabiston 20th edition, Page 1278* One third of GI lymphomas occur in small intestine.* Lymphomas constitute 25% of small bowel tumors in adults.* Lymphomas are the most common tumors of small intestine in children <10 years* Most common site is ileum* Most common in AIDS and coeliac disease* Clinical features: Pain, weight loss, perforation in 25% cases* Combined modality treatment: Surgery + chemotherapy + RT is given* B cell lymphomas are chemosensitive* T cell lymphomas are chemoresistant* Whatever the type -- all small bowel lymphomas must be resected first as the risk of perforation and bleeding is high* 5-year survival rate is 50%